Which of the following describes humoral hypercalcemia of malignancy (HHM)?
1. The rise in calcium levels due to PTH-rP
2. Paraneoplastic Calcitonin Production
3. Vitamin D Hypervitaminosis
4. Parafollicular C-cell proliferation of Thyroid Gland

Correct answer: 1. The rise in calcium levels due to PTH-rP

Explanation: The rise in calcium levels due to PTH-rP is termed humoral hypercalcemia of malignancy (HHM). A common consequence of some cancers can be increased levels of calcium (hypercalcemia) with secretion of PTH-related peptide (PTH-rP). PTH-rP has significant homology with PTH, but only in the amino-terminal 13 amino acids, which make up the receptor-binding region. Because PTH-rP is not secreted by the parathyroid glands, hypercalcemia produces no feedback regulation of its production. Cancers usually associated with HHM include breast and lung cancers and multiple myeloma. Ref: Kerr J. (2012). Chapter 13. Connective Tissue and Bone. In L.W. Janson, M.E. Tischler (Eds), The Big Picture: Medical Biochemistry.